ALL of the following are features of acromegaly except-
1. Glucose intolerance
2. Nonsuppressibility of growth hormone by glucose ingestion
3. Raised levels of plasma somatomedin D
4. Low serum phophate

Correct answer: 4. Low serum phophate

Explanation: high serum phosphate in acromegaly ( Harrison 17 pg 2210)